Drug bound to alpha 1 acid glycoprotein are all except:
1. Lignocaine
2. Tolbutamide
3. Quinidine
4. Propranolol

Correct answer: 2. Tolbutamide

Explanation: Ref: KDT 6th p.21Explanation:Bound to albuminBound to alpha 1 acid glycoproteinBarbituratesBenzodiazepinesNSAIDsValproic addPhenytoinPenicillinsSulfonamidesTetracyclinesTolbutamideWarfarinBeta-blockersBupivacaineLidocaineDisopyramideImipramineMethadonePrazosinQuinidineVerapamilMost acidic drugs that are extensively bound to plasma proteins are bound to albumin.Basic lipophilic drugs, such as propanolol. often bind to other plasma proteins (e.g.. alphar acid glycoprotein and lipoproteins).